Uterine fibromyoma is associated with :
1. Endometriosis
2. Pelvic inflammatory disease
3. Ovarian Ca
4. Amenorrhea

Correct answer: 1. Endometriosis

Explanation: Ans. is a i.e. Endometriosis